Quadrivalent vaccine avaible for HPV is protective against -
1. HPG G, 11, 31, 32
2. 16, 18, 31, 35
3. 11, 16, 30, 33
4. 6, 11, 16, 18

Correct answer: 4. 6, 11, 16, 18

Explanation: Recombinant vaccine contain antigen from HPV6,11,16&18 REF:
MICROBIOLOGY ANANTHA NARAYANAN NINTH EDITION PAGE.553